Widmark's formula helps in the measurements of blood level of:
1. Barbiturates
2. Cocaine
3. Alcohol
4. Benzodiazepines

Correct answer: 3. Alcohol

Explanation: C i.e. Alcohol